An example of naturally acquired passive immunity is
1. Hepatitis vaccination
2. Gamma globulin injection
3. Immune blood transfusion
4. Placental transfer of antibodies

Correct answer: 4. Placental transfer of antibodies